The origin of the ovaries is from ?
1. Genital ridge
2. Genital tubercle
3. Wolffian duct
4. Mullerian duct

Correct answer: 1. Genital ridge

Explanation: Ovaries are formed mainly from the genital ridge and partly from the mesonephros. Primordial germ cells, that are formed in relation to the yolk sac, migrate to the region of the developing ovary and give rise to oocytes. Ref: Textbook of Human Embryology Inderbir Singh, 6th Ed, Page 290.